In the fracture of optic canal, which of the following pairs of structures is most likely to be damaged?
1. Optic nerve and ophthalmic vein
2. Ophthalmic vein and ophthalmic nerve
3. Ophthalmic artery and optic nerve
4. Ophthalmic nerve and optic nerve

Correct answer: 3. Ophthalmic artery and optic nerve

Explanation: The optic canal transmits the optic nerve and ophthalmic artery. The ophthalmic nerve and ophthalmic vein enter the orbit through the superior orbital fissure.